Muscle supplied by median nerve:
1. Opponens pollicis
2. Abductor pollicis brevis
3. Flexor pollicis brevis
4. All

Correct answer: 4. All

Explanation: A, B, C, i.e. Opponens pollicis, Abductor pollicis brevis, Flexor pollicis brevis, & First lumbricals